Removal of only Level VI Lymph nodes is called as:
1. Type 3 Modified radical neck dissection
2. Central neck dissection
3. Functional neck dissection
4. Supraomohyoid neck dissection

Correct answer: 2. Central neck dissection